Of the following groups of amino acids produce common component of the TCA cycle is
1. Alanine, isoleucine, leucine, lysine
2. Serine, asparagine, glycine, glutamate
3. Isoleucine, valine, methionine
4. Proline, leucine, tryptophan

Correct answer: 3. Isoleucine, valine, methionine

Explanation: Isoleucine, valine, methionine